Allografts are grafts taken from
1. Same species and individuals who are genetically related
2. Different species
3. Same species but individual are genetically not related
4. Same species and between genetically identical individuals

Correct answer: 3. Same species but individual are genetically not related